Occipital myotome gives -
1. Muscle of mastication
2. Tongue muscles
3. Facial muscles
4. Laryngeal muscles

Correct answer: 2. Tongue muscles

Explanation: Ans. is 'b' i.e., Tongue muscles Development of muscels of head regiono Muscles of the head region are derived from following mesodermal masses.Head myotoniesPharyngeal archesHead mvotomeso There are four occipital myotomeso One of these, the first completely disappears and the other three give rise to -1. Tongue muscles arise from hypoaxial division of these three occipital myotomes.2. Extraoculor muscles are thought to be derived from three pairs of anterior (pre-otic) head myotomes .pharyngeal arch muscleso The muscles derived from pharyngeal arch mesoderm are -1. Muscles of mastication2 Muscles of facial expression3. Muscles of pharynx4. Muscles of larynx